Gang Rape is punished under
1. 376 B IPC
2. 376 A IPC
3. 376 D IPC
4. 376 E IPC

Correct answer: 3. 376 D IPC

Explanation: Punishment for gang rape is 20 years jail or life imprisonment.